Following is not true about the gene mutations leading to breast carcinoma -
1. Most common mutation in inherited breast carcinoma is BRCA1
2. BRCA 1 mutation is present in most of the cases of breast carcinoma
3. Inherited breast carcinomas make about 3 % of the total cases
4. p53 mutation also increases chances of colon and brain cancer

Correct answer: 2. BRCA 1 mutation is present in most of the cases of breast carcinoma

Explanation: Answer- B. BRCA 1 mutation is present in most of the cases of breast carcinomaGenetic mutations associated with breast cancer are of two types -i) Germline mutations (inherited mutations)Involved in familial cases of breast cancer.ii) Somatic mutations (acquired mutation)Involved in sporadic cases of breast cancer